Minimal reabsorption in kidney occurs for?
1. Urea
2. Glucose
3. Na
4. HCO3

Correct answer: 1. Urea

Explanation: ANSWER: (A) UreaREF: Ganong's 22nd ed table 38-5Renal Handling of Various Plasma Constituents in a Normal Adult Human on an Average Diet/24 hrs:SubstancePercentage reabsorbedNa+ (meq)99.4 SubstancePercentage reabsorbedK+ (meq)93.3Cl' (meq)99.2HCO, (meq)100Urea (mmol)53Uric acid (mmol)98Glucose (mmol)100Total solute (mosm)98.9Water (mL)99.4